Gall stones are composed of all except:
1. Oxalates
2. Bile salts
3. Cholesterol
4. Bile pigments

Correct answer: 1. Oxalates

Explanation: Ans: a (Oxalates)Ref: Bailey & Love, 24thed, p. 1103 & 23rd ed, p. 974